A cricoid hook is used particularly -
1. In thyroidectomy
2. In block dissection of the neck
3. For retracting the superior laryngeal nerve
4. In tracheostomyMiscellaneous / 817

Correct answer: 4. In tracheostomyMiscellaneous / 817

Explanation: Ans. is 'd' i.e., In tracheostomy